The Neck of sac of femoral hernia lies at
1. Below and lateral to pubic tubercle
2. Above and lateral
3. Above and medial
4. Below and medial

Correct answer: 1. Below and lateral to pubic tubercle

Explanation: Ans. (a) Below and lateral to pubic tubercle.Ref: Long cases Surgery RRM* Femoral hernia impulse is felt at saphenous opening.* The question asks the landmark of saphenous opening - which is below and lateral to pubic tubercle